Ophthalmic findings in vitamin B12 deficiency are
1. Bitemporal hemianopia
2. Binasal hemianopia
3. Heteronymous hemianopia
4. Centrocecal scotoma

Correct answer: 4. Centrocecal scotoma

Explanation: * Vitamin B12 deficiency causes optic neuropathy and impaired acuity and central scotoma * Annular or ring shaped scotoma is a typical features of Retinitis pigmentosa